PNH patients will be having deficient surface proteins that normally protect the red cells from activated compliments. What are the two deficient surface proteins?
1. CD 45 and CD 59
2. CD 51 and CD 59
3. CD 55 and CD 59
4. CD58 and CD 59

Correct answer: 3. CD 55 and CD 59

Explanation: The definitive diagnosis of PNH is based on the demonstration that a substantial proportion of the patient's red cells have an increased susceptibility to complement (CRT), due to the deficiency on their surface of proteins (particularly CD59 and CD55). Reference: Harrisons Principles of Internal Medicine, 18th Edition, Page 884